X-Ray feature of pyloric stenosis is
1. Single bubble appearance
2. Double bubble appearance
3. Triple bubble apperance
4. Multiple air fluid levels

Correct answer: 1. Single bubble appearance

Explanation: A i.e. Single bubble appearance